10% dextrose in water is:-
1. Isotonic
2. Hypotonic
3. Hypertonic
4. None

Correct answer: 3. Hypertonic

Explanation: 10% dextrose is hypertonic. ISOTONIC HYPERTONIC HYPOTONIC Dextrose 5% in water 0.9% normal saline Ringer lactate 5% dextrose in half normal saline 5% dextrose in normal saline Dextrose 10% in water 0.45 normal saline